Pathognomic features of trachoma follicle are:
1. Presence of Leber's cells
2. Areas of necrosis
3. Both of the above
4. None of the above

Correct answer: 3. Both of the above

Explanation: Ans. Both of the above